True statement about streptococcus faecalis is
1. Growns in 6.5% Nacl solution
2. Are lactose fermenter
3. Easily destroyed at 60 o C for 30 minutes
4. Classified on the basis of teichoic acid of cell wall

Correct answer: 1. Growns in 6.5% Nacl solution

Explanation: The enterococcus(enterococci or faecal streptococci) can grow in the presence of 40% bile, 6.5% NaCl, at pH 9.6 at 45-degree Celsius and in 0.1% methylene blue milk. Reference: Textbook of Microbiology; Anathanarayan and panicker's; 10th edition; Page no: 219